Which of the following maxillary major connector can be given in almost any maxillary partial design:
1. Single palatal bar.
2. Anteroposterior palatal bar.
3. Anteroposterior palatal strap.
4. Complete palate.

Correct answer: 3. Anteroposterior palatal strap.